All of the following reduce T4 absorption except
1. Metformin
2. Iron salts
3. Raloxifen
4. Colsevelam

Correct answer: 1. Metformin

Explanation: Refer Goodman Gilman 12/e p1136 Absorption of T4 is reduced by Antacids Bile acids binding agents Calcium carbonate Iron salts Proton pump inhibitors. Raloxifen Sucralfate